All of the following features contribute to high risk babies except -
1. Babies with working mothers
2. Spacing of less than 1 year
3. Artificial fed babies
4. Weight between 70-80% of reference wt.

Correct answer: 4. Weight between 70-80% of reference wt.

Explanation: At risk infants are identified based on following criteria: 1. Birth wt less than 2.5 kg 2. Twins 3. Birth order 5 or more 4. Artificial feeding 5. Weight below 70 percent of the expected weight ( second and third degrees of malnutrition) 6. Failure to gain weight during three successive months 7. Children with PEM, diarrhoea 8. Working mother / one parent This from above criteria the most appropriate answer is option 4 which does not come under the criteria. Reference Park's textbook of preventive and social medicine 23rd edition pg 535